Which of the following is the most common tumor of the fetus and newborn -
1. Neuroblastoma
2. Wilm's tumor
3. Leukemia
4. Sacrococcygeal Teratonia

Correct answer: 4. Sacrococcygeal Teratonia

Explanation: Ans. is 'd' i.e., SacrococcygealTeratoma o Sacrococcygeal Teratoma (SCT) is the most common neoplasm in the fetus and newborn. 'Sacroccocygeal Teratoma (SCT) is the most common neoplasm in the fetus and newborn with an estimated prevalece of 1:30,000- 1:40,000 and with a 3:1 female preponderance. - Handbook of Fetal Medicine by Shailesh Kumar (Cambridge Univ, Press) 2010/87 Most common tumor in fetus and neonate --) sacrococcygeal teratoma Most common tumor in infancy neuroblastoma